Antiarrhythmic drug causing hypothyroidism is:
1. Lidocaine
2. Propanolol
3. Amiodarone
4. Procainamide

Correct answer: 3. Amiodarone

Explanation: Ref: Drug-Induced Diseases: Prevention, Detection and Management, James E. Tisdale, 2nd edition, Page 587Explanation:Amiodarone causes both Hypo and Hyperthyroidism.DRUGS CAUSING HYPOTHYROIDISMEthionamide.Amiodarone.Nitroprusside.Perchlorate.Povidone iodine (Betadine).Sulfonylureas.INF alpha.Lithium.Octreotide.Rifampin.Aldesleukin.Thalildomide.Leuprolide.DRUGS CAUSING HYPERTHYROIDISMAmiodarone.Cyclosporine.INF alpha.INF beta.lodinated compounds.Lenalidomide.Leuprolide.Lithium.